Pyridoxine in required as co-factor in all, except
1. Transamination
2. Transketolation
3. Glycogen phosphonylase
4. Decarboxylation

Correct answer: 2. Transketolation

Explanation: PLP is closely associated with the metabolism of amino acids. Pyridoxal phosphate participates in reactions like transamination, decarboxylation, deamination, transsulfuration, condensation etc. Transketolase: The second group of enzymes that use TPP as co-enzyme are the transketolases, in the hexose monophosphate shunt pathway of glucose. This reaction is possible with TPP Ref: Satyanarayana 4th ed page 377